The antibiotic of choice of pertussis is -
1. Ampicillin
2. Gentamicin
3. Erythromycin
4. Penicillin

Correct answer: 3. Erythromycin

Explanation: Ans. is 'c' i.e., Erythromycin Treatment of pertussis DOC ----> Macrolides (Erythromycin, Azithromycin, Clarithromycin) Alternative ----> Cotrimoxazole